Dunda's grant apparatus used in:
1. Cold air caloric test
2. Fitzgerald Hallpike's test
3. Bithermal caloric test
4. Rinne test

Correct answer: 1. Cold air caloric test

Explanation: Cold caloric test--employs Dundas Grant tube, which is a coiled tube wrapped in cloth. The air in the tube is cooled by pouring ethyl chloride and then blown into the ear.